Most essential fatty acid is
1. Linoleic acid
2. Linolenic acid
3. Arachidonic acid
4. Palmitic acid

Correct answer: 1. Linoleic acid

Explanation: (A) (Linoleic acid) (31- Satyanarayan(203- Harper 27th)EFA - should be supplied in the diet* Deficiency results in phrynoderma or toad skin* Cyclic fatty acids - normely chaumoogric acid is employed in the treatment of leprosy.* Most important EFA is Linoleic acid (because it server as a basis for the production of other essential fatty acids)* Essential fatty acids are- linoleic acid. Linolenic acids, arachidonic acid. Elcosapentanoic acid* Ecosanoids are formed from - C2o polyunsatured fatty acids (Arachidonic acid)*** Maximum source of linoleic is- sunflower oils*** Vegetables oils ** are rich source of poly unsaturated fatty acids.* Docosahexaenoic acid (DHA) is particularly needed for development of the brain and retina and is supplied via the placenta and milk *** The endoperoxide metabolites of arachidonic acid implicated in the pathogenesis of allergic bronchial asthma are Leukotriens ***TRANS FATTY ACIDS* TFA are chemically classified as unsaturated fatty acids but I have more like saturated fatty acids in the body that is they elevated serum LDL and they increase the risk of CHD* TFA do not occur naturally in plants, but occurs in small amounts in animals. However TFA are formed during the hydrogenation of liquid vegetable oils* TFA are a major component of many commercial baked gcods, such as cook ies and cakes and most deep - fried foods.* A clue to the presence of TFA in a food is the words " partially hydrogenated" on the list of package ingredients (363-64-Lippincorf s - Biochemistry)ALSO - REMEMBERRichest source of vit A - Fish liver oilRichest source of VIT D - cod liver oilRichest source of vit K - cow's milkRichest source of vit B12- LiverRichest source of folic acid - green leafy vegetablesRichest source of iron is - jaggeryRichest source iodine is - sea foods and cod liver oil* Fatty acids are stored as Triglycerides mainly in adipose tissue.